The function of a root canal sealer is:
1. To fill the gap between the tooth and the filling
2. As an antiseptic
3. Aids in healing
4. Provide strength

Correct answer: 1. To fill the gap between the tooth and the filling